Coombs positive hemolytic anemia associated with:
1. TTP
2. PAN
3. SLE
4. HUS

Correct answer: 3. SLE

Explanation: Answer is C (SLE) Coombs positive hemolytic anemia is a feature of autoimmune hemolytic anemia and is characteristically seen in SLE. Polvaeritis Nodosa (PAN) may also be associated with a Coombs positive hemolytic anemia. However this association is rare, and more commonly patients with PAN present either with an anemia of chronic disease or a microangiopathic hemolytic anemia. TTP and HUS are characteristically associated with Coombs negative microangiopathic hemolytic anemias.